The ossification center of pisiform bone appears at the age of -
1. 10-11 years
2. 12-13 years
3. 14-15 years
4. 15-16 years

Correct answer: 2. 12-13 years